Nephrogenic systemic fibrosis is associated with:
1. Gadolinium administration in CRF
2. Genetic disease with selenium deficiency
3. Chromium toxicity
4. HIV associated

Correct answer: 1. Gadolinium administration in CRF

Explanation: Ans. Gadolinium administration in CRF